Which of the following is the most common extra-renal involvement in autosomal dominant polycystic kidney disease?
1. Mitral valve prolapsed
2. Hepatic cysts
3. Splenic cysts
4. Colonic diverticulosis

Correct answer: 2. Hepatic cysts

Explanation: Hepatic cysts are the most common extrarenal manifestations of Adult Polycystic Kidney Disease.